Best way to control houseflies -
1. Eliminate breeding places
2. Insectiside spray
3. Net use
4. None

Correct answer: 1. Eliminate breeding places

Explanation: Ans. is 'a' Le., Eliminate breeding places o The best way to control houseflies is to eliminate their breeding places and to bring about an overall improvement in the environmental sanitation on a community-wide basis,o 'Houseflies should be regarded as a sign of insanitation r and their number as index of that sanitation.o Important species : Musca domes tica, M. vicinia, M. nebula, M. sorbenso Life span : 15-25 daysEggs : 8-24 hoursLarvae (maggots): 2-7 daysPupae : 3-6 daysAdults : 5-20 dayso Important breeding places (In order of importance).Fresh horse manureHuman excretaManure of other animalsGarbageDecaying fruits and vegetablesRubbish dumps containing organic matterGrounds where liquid wastes are spilledo Feeding habits :Housefly does not bite : It cannot eat solid foods; it vomits on ssolid foods to make a solution of it, and sucks in a liquid state.o Modus of disease transmission:Mechanical transmission: Houseflies are known as 'Porters of infection 'Vomit-dropDefecationo Houseflies in disease causation:.45 vector of diseases: Typhoid and paratyphoid fevers, diarrhoeas and dysenteries, cholera and gastroenteritis, amoebiasis, helminthic manifestations. Poliomyelitis, Yaws, Anthrax, Trachoma, conjunctivitis..45 causative agent of disease : Myiasis.